Vasopressin inhibited by:
1. Alcohol
2. Carbamazepine
3. Clofibrate
4. Chlorpropamide

Correct answer: 1. Alcohol

Explanation: Ref: Goodman & Gillman, The pharmacological basis of therapeutics. 12th edition, Pg No. 708.Explanation:Lithium and Demeclocycline are the other drugs which inhibits the action of vasopressinLithium reduce the V2 receptor mediated stimulation of adenylyl cyclaseIt also increases PTH which is an antagonist of LithiumDemeclocycline decreases the antidiuretic response of vasopressinIndomethacin. Chlorpropamide and Carbamezapine are the drugs which enhances the actions of vasopressin.